All of the following cephalosporins have good activity against Pseudomonas aeruginosa except ?
1. Cephadroxil
2. Cefepime
3. Cefoperazone
4. Ceftazidime

Correct answer: 1. Cephadroxil

Explanation: Ans. is 'a' i.e., Cephadroxil o Cephalosporins with antipseudomonal activity :- Ceftazidime, Cefoperazone, Cefepime